Science dealing with health of travellers -
1. Emporiatrics
2. Ergonomics
3. Bionomics
4. None

Correct answer: 1. Emporiatrics

Explanation: Ans. is 'a' i.e., Emporiatricso Emporiatrics (Travel medicine) is the science dealing with health of travellers.o Ergonomics is the scientific discipline that seeks to understand and improve human interactions with products, equipment, environments and system. It simply means "fitting the job to the worker